Most common cause of epiphora in newborn:
1. Stenosed lacrimal puntum
2. Non-canalisation of nasolacrimal duct
3. Sinusitis
4. Opthalmia neonatorum

Correct answer: 2. Non-canalisation of nasolacrimal duct

Explanation: Non-canalisation of nasolacrimal duct